A child died soon after birth. On examination, there was hepatosplenomegaly and edema all over the body. Coombs test negative in the mother. Most probable diagnosis
1. Beta thalassemia
2. Alpha thalassemia
3. Hereditary spherocytosis
4. ABO incompatibility

Correct answer: 2. Alpha thalassemia

Explanation: Alpha thalassemia is a blood disorder that reduces the production of hemoglobin. Affected individuals also have a shortage of red blood cells (anemia), which can cause pale skin, weakness, fatigue, and more serious complications. Two types of alpha thalassemia can cause health problems. Reference: GHAI Essential pediatrics, 8th edition